In chlamydial cervicitis drug of choice is :
1. Tetracycline
2. Septran
3. Chlomphenicol
4. Erythromycin

Correct answer: 1. Tetracycline

Explanation: Tetracycline